A 45 years male presents with hypertension. He has sudden abnormal flinging movements in right upper and lower limbs. Most likely site of haemorrhage is :
1. Substantia nigra
2. Caudate nuclei
3. Pons
4. Subthalmic nuclei

Correct answer: 4. Subthalmic nuclei

Explanation: Answer is D (Subthalmic Nucleus): The patient's abnormal movement is 'Hemiballismus. Hemiballismus manifests as sudden and often violent flinging movement of a proximal limb usually an arm. Hemiballismus develops due to lesion in the subthalamic nucleus. Remember: Abnormal movement Site of lesion 1. Chorea * Caudate nucleus and Putamen (striatum) 2. Athetosis * Lentiform nucleus (Globus pal lidus) 3. Hemiballismus * Subthalamic nucleus 3 4. Parkinsonism * Substantia nigra